Keratometry is done to assess:
1. Corneal sensation
2. Corneal endothelium
3. Corneal thickness
4. Curvature of cornea

Correct answer: 4. Curvature of cornea

Explanation: Ans: D i.e. Curvature of cornea Instruments & their uses Corneal sensitivity may be tested by touching it in various places with a wisp of cotton wool twisted to a fine point & comparing the effect with that on the other, normal cornea The corneal endothelium can be examined cursorily by the specular examination technique on the slit lamp. Corneal thickness can be measured by an optical pachymeter on a slit lamp or an ultrasonic pachymeter A keratometer (ophthalmometer) measures the curvature of the anterior surface of the cornea at 2 points about 1.25 mm on either side of its centre.